ICD-10 code in XXI includes all except -
1. Lack of exercise
2. Alcoholism
3. Poisoning
4. Unhealthy found

Correct answer: 3. Poisoning

Explanation: Ans. is 'c' i.e., Poisoning ICD -10 code in chaptor XXI (Factor influencing health status and contact with health services) : - i) Problem relating to lifestyle ii) Alcohol use iii) Tobacoo use iv) Drug use v) Lack of physical exercise vi) Inappropriate diet and eating habits vii) High risk sexual behaviour Poisoning is included in chapter XIX.